Foramen of Morgagni refers to an opening in:
1. The brain
2. The lesser omentum
3. The skull
4. The diaphragm

Correct answer: 4. The diaphragm

Explanation: The diaphragm